A 9 year old girl presents with menarche. History reveals thelarche at the age of 7 years and adrenarche at the age of 8 years- the M/C cause of this condition in girls is:
1. Idiopathic
2. Gonadal tumor
3. Mc cure albright syndrome
4. Hypothyroidism

Correct answer: 1. Idiopathic